True statements are all, EXCEPT:
1. Chromosome six harbours the gene for MHC
2. Genes encoding compliments are located adjacent to class I
3. Monocytes have MHC class II antigens on their surfaces
4. Class III MHC does not encode complement

Correct answer: 4. Class III MHC does not encode complement

Explanation: Answer is D (Class III MHC does not encode complement): Class III MIIC encode complements of the component system. Genes coding for histocompatibility antigens are clustered on a small segment of chromosome 6. This cluster constitutes the Human MHC or Human Leucocytes Antigen (HLA) complex. Class I antigens: * are expressed on all nucleated cells and platelets.Q * encode cell surface glycoproteins.Q * they are encoded by three closely related loci HLA-A, HLA-B, HLA-C.Q * CD8 + T cells widely express Class I HLA antigens.Q Class II antigens: * are expressed on macrophages, B cells and T cells.Q * encode cell surface glycoproteins.Q * they have a single loci HLA-D (with three surface loci DR, DQ, DP).Q Class III antigens: * these encode complements of the complement system.Q Note: That class III molecules loci, are present in between the loci for class I and class II molecules, on the HLA complex. Thus they lie adjacent to both class I as well as class II molecules.()